Not a boundary of gastrinoma triangle:
1. Junction of 2nd and 3rd part of duodenum
2. Junction of 3rd and 4th part of duodenum
3. Junction of head with body of pancreas
4. Junction of cystic duct with common bile duct

Correct answer: 2. Junction of 3rd and 4th part of duodenum

Explanation: Ans. (b) Junction of 3rd and 4th part of duodenumPassaro Triangle:Boundaries:* 2nd and 3rd part of duodenum* Cystic duct and CBD junction* Neck of pancreas